Closed pinning not done in
1. Neck humerus fracture
2. Shaft humerus fracture
3. Distal radius fracture
4. Supracondylar fracture humerus

Correct answer: 2. Shaft humerus fracture

Explanation: METHODS OF TREATMENT FOR COMMON FRACTURES FRACTURE USUAL METHOD(S) OF TREATMENT Clavicle Arm sling or a figure "8" strap , plate fixation , hook platesProximal HumerusUndisplaced - arm slingDisplaced - ORIFFour-part fracture - prosthetic replacement ( hemiahoplasty )Displaced forearm bones Plate fixationSupracondylar Humerus in children Percutaneuos or open reduction and K-wire fixation Olecranon Figure-of-eight tension , tension band wiring , screw fixation , hook platesColle's fracture POP cast in cotton loader position , plate fixation Scaphoid fracture Non displaced - Thumb spica splint ( in Glass holding position )Displaced - ORIF with kirschner wires or Herbert's headless screws Bennett's fracture K-wire fixation Intertrochanteric FemurSliding compression hip screws ( aka Dynamic Hip Screws )Subtrochanteric Femur Dynamic condylar screws ( DCS )Intracapsular Femoral Neck fracture Young patient - multiple screw fixation Elderly patient - Hemiarthroplasty , total hip replacement Femoral shaft fractureIntramedullary ( IM ) Nailing in adultPatella Undisplaced - cylinder or tube cast Displaced transverse fracture - tension band wiringComminuted - Cerclage wiring, patellectomy ( Partial or total )Tibial shaft Displaced - Intramedullary ( IM ) NailingUndisplaced - Patella Tendon Bearing ( PTB ) castMedial malleolus Cancellous screws or tension band wiring Jone's fracture POP cast , screws (Refer: Mohindra's Fundamentals of Orthopedics, 2nd edition, pg no. 61, 72)